Terminal spined eggs are seen in -
1. Schistosoma haematobium
2. Schistosoma mansoni
3. Schistosoma japonicum
4. Chlonorchis sinensis

Correct answer: 1. Schistosoma haematobium

Explanation: Option 1, 2, 3, 4 Five main Schistosoma species infect humans: S. mansoni - eggs with lateral spine S. haematobium - eggs with terminal spine S. intercalatum - eggs with terminal spine S. japonicum - round eggs with minute spine (Lateral knob) S. mekongi - round eggs with minute spine Only S. haematobium found in India. Chlonorchis sinensis(Chinese or oriental liver fluke)-embryonated Operculated eggs S. haematobium - eggs with terminal spine S. mansoni - eggs with lateral spine S. japonicum - round eggs with minute spine (Lateral knob)